Exhumation is done following court order. Only skull bone was found with basiocciput fused with basisphenoid. What is the approximate age?
1. 18 - 21 years
2. 40 - 50 years
3. 70 -80 years
4. 6-7 years

Correct answer: 1. 18 - 21 years

Explanation: The basiocciput fuses with the basisphenoid at about 18 to 21 years. AGE ESTIMATION FROM SKULL Closure of posterior frontanalle (Lambda): Birth to 6 months Closure of Anterior frontanelle (Bregma):1 1/2 -2 years Closure of Metopic suture: 2- 4years Two halves of mandible fuse together: 1-2 years Basiocciput and basisphenoid: 18-20 years Lambdoid suture 45-50 years Parieto-temporal 60-70 years Saggital suture Coronal suture Posterior one third: 30 - 40 years Upper half: 40- 50 years Anterior one third: 40 - 50 years Lower half : 50 - 60 years Middle one third: 50 - 60 years CERTAIN FACTS REGARDING SKULL SUTURAL CLOSURE Sagittal suture is most reliable for age estimation, followed by lambdoid and then coronal sutures. Closure of skull sutures begins on the inner side (endocranially), 5-10 years earlier than on the outer side (ectocranially).